Root value of axillary nerve is-
1. C5-8, T-l
2. C5-6
3. C8, T1
4. C5,6,7

Correct answer: 2. C5-6

Explanation: Ans. is 'b' i.e., C5-6 NerveRoot valueAxillary nerveC5, C6Radial nerveC5-8, T1Median nerveC5-8, T1Ulnar nerveC8.T1Musculocutaneous nerveC5,C6, C7